Incision used in endomeatal approach to the ear -
1. Lempert I incision
2. Lempert II incision
3. Rosen's incision
4. Wilde's incision

Correct answer: 3. Rosen's incision

Explanation: Ans. is 'c' i.e., Rosen's incision 1) Endomeatal or transcanal approach.* It is used to raise a tympanomeatal flap in order to expose the middle ear.* Rosen's incision is the most commonly used for stapedectomy.* It requires the meatus and canal to be wide enough to work.* It consists of two parts:i) A small vertical incision at 12 o'clock position near the annulus andii) A curvilinear incision starting at 6 o'clock position to meet the first incision in the posterosuperior region of the canals, 5-7 mm away from the annulus.* It gives a good view of the middle ear and ossicles.Used for* Exploratory tympanotomy to find cause for conductive hearing loss* Inlay myringoplasty or* Ossicular reconstruction2) Endaural approach - through Lempert's incision.* It is used for:a) Excision of osteomas or exostosis of ear canal.b) Large tympanic membrane perforations.c) Attic cholesteatomas with limited extension into the antrum.d) Modified radical mastoidectomy where disease is limited to attic, antrum and part of mastoid.Postaural (or Wilde's) incision* It starts at the highest attachment of the pinna, follows the curve of retroauricular groove, lying 1 cm behind it, and ends at the mastoid tip.* Postaural incision is used for:a) Cortical mastoidectomy.b) Modified radical and radical mastoidectomy.c) Tympanoplasty: when perforation extends anterior to handle of malleus.d) Exposure of CN VII in vertical segment.e) Surgery of endolymphatic sac.